Helmet cells are a feature of
1. G6PD deficiency
2. pyruvate kinase deficiency
3. Pyrimidine 5 - nucleotidase
4. Adenylate kinase deficiency

Correct answer: 1. G6PD deficiency

Explanation: Bite cells / Blister cells / Helmet cells - G6PD deficency.